In a case of road traffic accident, emergency nasotracheal intubation is done. Advantage of nasotracheal intubation is:
1. Good oral hygiene
2. Less infection
3. Less mucosal damage and bleeding
4. More movement or displacement of endotracheal tube

Correct answer: 1. Good oral hygiene

Explanation: Nasotracheal intubation is mainly used when access to the trachea through the oropharynx is difficult and emergency cricothyrotomy is not indicated. The advantages of nasotracheal intubation are .good oral hygiene, .greater comfort for the patient and .greater ease in communicating with the intubated patient through lip reading. Disadvantages include need for a smaller airway, which results in increased airway resistance; need for a more skilled operator, because the tube is usually inserted without direct vision; possible bleeding caused by passage of the nasotracheal tube through the nasopharynx; and sinusitis that may result owing to obstruction of the ostia of the sinuses. Ref: Pain W.R., Dorroh C. (2011). Chapter 7. Emergency Procedures. In R.L. Humphries, C. Stone (Eds), CURRENT Diagnosis & Treatment Emergency Medicine, 7e.